Which of the following arachidonic acid derivative is used in treatment of glaucoma?
1. Latanoprost
2. Iloprost
3. Alprostadil
4. None of the above

Correct answer: 1. Latanoprost

Explanation: Latanoprost, a stable long-acting PGF2derivative, was the first prostanoid used for glaucoma. The success of latanoprost has stimulated development of similar prostanoids with ocular hypotensive effects, and bimatoprost, travoprost, and unoprostone are now available. These drugs act at the FP receptor and are administered as drops into the conjunctival sac once or twice daily. Adverse effects include irreversible brown pigmentation of the iris and eyelashes, drying of the eyes, and conjunctivitis. Ref: Katzung 11th edition Chapter 18.